Sciatic nerve palsy may occur in the following injury-
1. Posterior dislocation of hip joint
2. Fracture neck of femur
3. Trochanteric fracture
4. Anterior dislocation of hip

Correct answer: 1. Posterior dislocation of hip joint

Explanation: *Injury to sciatic nerve:-The nerve is vulnerable to injury where it lies behind the posterior wall of acetabulum. Ref: Maheshwari 9th/e p.131 &4th/e p.127